Objective methods for checking the refractive error are all except
1. Ophthalmoscopy
2. Retinoscopy
3. Refractometry
4. Keratometry

Correct answer: 1. Ophthalmoscopy

Explanation: Ans. is 'a' i.e., Ophthalmoscopy The procedure of determining and correcting refractive errors is termed as refraction. The refraction comprises two complementary methods : ? A) Objective methods : Objective methods of refraction include :- (i) Retinoscopy, (ii) Refractometry, (iii) Keratometry. B) Subjective methods : These are :- (i) Subjective verification of refraction, (ii) Subjective refining of refraction, (iii) Subjective binocular balancing.